Pyogenic infection and brain infarction associated with
1. Coagulative necrosis
2. Liquefaction necrosis
3. Caseous necrosis
4. Fat necrosis

Correct answer: 2. Liquefaction necrosis

Explanation: (Liquefactive necrosis) (10- Basic- Robbins 8th) (52-(i) Coagulative necrosis - Infarcts in all solid organs (heart, kidney , splen) Except brain(ii) Liquefactive necrosis - Bacterial or fungal infection and brain infarctions(iii) Caseous necrosis - Tuberculosis(iv) Fat necrosis - Acute pancreatic necrosis and traumatic necrosis commonly in breasts(v) Fibrinoid necrosis - Immune complex vasculitis